Engagement of fetal head is:
1. When the occiput has gone below the pelvic inlet
2. When the widest diameter of the presenting part has passed through the pelvic inlet
3. When the presenting part can be pushed into the pelvic cavity
4. Synonymous with fixation of head

Correct answer: 2. When the widest diameter of the presenting part has passed through the pelvic inlet

Explanation: Engagement - The mechanism by which the widest diameter of he presenting part such as the biparietal diameter in an occiput presentation--passes through the pelvic inlet. Deflexed head is the most common cause of non engagement, which indicates towards caeseran section